A 10-year-old girl develops ataxia and hydrocephalus. CT scan shows a midline cerebellar mass. Which of the following is the most likely diagnosis
1. Meningioma
2. Medulloblastoma
3. Neurofibroma
4. Astrocytoma

Correct answer: 2. Medulloblastoma

Explanation: Medulloblastoma is a cerebellar midline tumor that presents commonly in the pediatric population. These tumors are rapidly growing and often cause hydrocephalus. Ref:- Harsha Mohan textbook of Pathology